Krukenberg's spindle seen in patients with pigmentary glaucoma refers to deposition of pigment on:
1. Trabecular meshwork (gonioscopic sign)
2. Back of cornea
3. Anterior surface of the lens
4. All of the above

Correct answer: 2. Back of cornea

Explanation: Ans. Back of cornea